Which of the following works on relaistic principle according to structural theory of mind
1. Id
2. Ego
3. Preconscious
4. Super ego

Correct answer: 2. Ego

Explanation: Id works on pleasure principle
Superego works on morality principle
Ego works on reality principle & balances between Id & superego.